Sumatriptan exerts antimigraine action through which receptors?
1. 5HT1D/1B
2. 5 HT2
3. 5HT3
4. 5HT4

Correct answer: 1. 5HT1D/1B

Explanation: Ans. is 'a' i.e., 5HT ID/IB * Sumatriptan is the first selective 5-HT1D/1B receptor agonist; activates other subtypes of 5-HT1 receptors only at very high concentrations, and does not interact with 5-HT2, 5-HT3, 5-HT4-7, a or b adrenergic, dopaminergic, cholinergic or GABA receptors.